Prostate Cancer occurs in which part of the gland-
1. Transitional Zone
2. Central Zone
3. Peripheral Zone
4. Anterior Portion

Correct answer: 3. Peripheral Zone

Explanation: Ans. is 'c' i.e., Peripheral Zone o Repeat from previous sessions